Surgical excision is contraindicated in -
1. Olecranon process
2. Patella
3. Head of radius
4. Lateral condyle humerus

Correct answer: 4. Lateral condyle humerus

Explanation: Lateral condyle of the humerus is never excised.
Excision is used in the treatment of fracture of the radial head, patella and olecranon, for specific indications.